Poor prognostic factor in Acute Myocardial .infarction-
1. VPC's in first 24 hours
2. Hypotension at diagnosis
3. Chest pain
4. Hypertension

Correct answer: 2. Hypotension at diagnosis